Painless gross hematuria occurs in
1. Renal cell carcinoma
2. Polycystic kidney
3. Stricture of urethra
4. Wilm's tumor

Correct answer: 1. Renal cell carcinoma